About t-RNA, TRUE is:
1. No intrabasal pairing
2. Clover leaf pattern
3. Inverted T appearance
4. Each specific for one m-RNA

Correct answer: 2. Clover leaf pattern

Explanation: B i.e. Clover leaf pattern